In an ablated animal, myeloid series cells are injected. Which of the following is seen after incubation period?
1. Fibroblast
2. T lymphocytes
3. RBC
4. Hematopoietic stem cell

Correct answer: 3. RBC

Explanation: The following flowchart is self explanatory for this question: